Commonest type of vitiligo –
1. Vulgaris
2. Segmental
3. Acrofacial
4. Facial

Correct answer: 1. Vulgaris

Explanation: Most common type of vitiligo is vitiligo vulgaris.